Most common site of Ewing's sarcoma ?
1. Upper end of tibia
2. Shaft of tibia
3. Lower end of femur
4. Shaft of femur

Correct answer: 4. Shaft of femur

Explanation: Ans. is 'd' i.e., Shaft of femur Commonest site Ivory osteoma - Frontal sinus Osteoid osteoma - Tibia Admantinoma (Ameloblastoma) - Mandible Chordoma - Sacrum and cervical spine Osteoclastoma - Lower end of femur Ewing's sarcoma - Femur diaphysis > tibia diaphysis Osteosarcoma - Distal femur (45%), Proximal tibia (25%) Simple bone cyst - Proximal humerus Aneurysmal bone cyst - Bones around knee (Femur, tibia) Osteochondroma - Bones around knee (distal femur > proximal tibia) Fibrous dysplasia - Proximal femur > Tibia Enchondroma - Phalanges of hand Multiple myeloma - Vertebrae Metastasis - Vertebrae